Panton-valentine leukocidin is produced by:
1. Staphylococcus epidermidis
2. Pseudomonas
3. Vibrio cholerae
4. Staphylococcus aureus

Correct answer: 4. Staphylococcus aureus

Explanation: Panton-valentine leukocidin Produced by S. aureus. Has 2 components F (fast) and S (slow) based on their migration on carboxymethyl cellulose column. Both the fragments act synergistically with gamma hemolysin -damage leukocytes, RBCs and macrophages. Synergohymenotropic toxins: Gamma-hemolysin and PV toxin . Capable of producing haemolytic and leukocidal activity.